The fallopian tube:
1. Is lined entirely by ciliated columnar epithelium
2. Has a submucous layer
3. Undergoes shedding during menstrual cycle
4. Surrounded by peritoneum on all sides except along the line of attachment of mesosalpinx

Correct answer: 4. Surrounded by peritoneum on all sides except along the line of attachment of mesosalpinx

Explanation: Structure of fallopian Tube—It consists of 3 layers:

Serous: Consists of peritoneum on all sides except along the line of attachment of mesosalpinx (i.e. option d is correct).
Muscular: Arranged in two layers — outer longitudinal and inner circular.
The mucous membrane is thrown into longitudinal folds. It is lined by columnar epithelium, partly ciliated, others secretory nonciliated and 'Peg cells'. There is no submucous layer nor any glands. Changes occur in the tubal epithelium during menstrual cycle but are less pronounced and there is no shedding during the menstrual cycle (option c is incorrect).

Note: The uterine tubes (fallopian tubes) are 10 cms in length. They are situated in the medial three-fourth of the upper free margin of the broad ligaments. Each tube has got two openings, one communicating with the lateral angle of the uterine cavity, called uterine opening and measures 1 mm in diameter, the other is on the lateral end of the tube, called pelvic opening or abdominal ostium and measures about 2 mm in diameter. The abdominal ostium is surrounded by a number of radiating fimbriae, one of these is longer than the rest and is attached to the outer pole of the ovary called ovarian fimbria.